A person working in rose garden presented with the following lesion. Wof is the Causative agent
1. Sporothrix schenckii
2. Histoplasma capsulatum
3. Coccidioides immitis
4. None of the above

Correct answer: 1. Sporothrix schenckii

Explanation: Sporotrichosis * Caused by Sporothrix schenckii, a dimorphic fungus present worldwide upon decaying vegetation (e.g., wood splinters, plant thorns, sphagnum moss) * Acquired by traumatic implantation (classic presentation was as "rose gardener disease") * Infection spreads centripetally by lymphatic vessels (origin of the term "sporotrichoid spread") Clinical:- (cutaneous forms) * Fixed cutaneous form - Single inoculation site with scaly, acneiform, verrucous, or ulcerative nodule; possibly with local lymphadenopathy * Lymphocutaneous form - Ulcerative nodules on extremities, sporotrichoid spread along lymphatics * Disseminated disease - Occurs in immunocompromised patients; may cause pulmonary lesions, septic arthritis/synovitis, mucosal lesions, pyelonephritis, orchitis, mastitis, meningitis, osseous infection, etc Diagnosis Histology:- Inflammation and pseudoepitheliomatous hyperplasia; sparse and rare cigar-shaped yeast; extracellular asteroid bodies may be present (yeast surrounded by refractile eosinophilic halo) Culture:- Gold standard; growth inhibited by cycloheximide; at 37degC culture yields creamy, white-tan colonies in 7 days, colonies turn brown-black in center with age - Yeast phase at 37degC : elongated, cigarshaped yeasts; rarely seen in histologic sections of tissue - Mold/mycelial phase at 25degC septate hyphae, delicate conidiophores bearing pyriform (pear-shaped) conidia in rosette clusters Ref:- Dermatology review by Asra Ali; pg num:-364,365